The notochord formation occurs on approximately what day after conception?
1. Day 2
2. Day 7
3. Day 17
4. Day 28

Correct answer: 3. Day 17

Explanation: Formation of the notochord is a third week event, occurring as a relatively early part of development of the trilaminar disc. More specifically, notochord formation begins about day 16 and the neurenteric canal forms on about day 18. Two days after conception, implantation has not yet occurred. By seven days after conception, the blastocyst has usually implanted in the endometrium. By day 28, gastrulation has occurred, and organogenesis is under way.